Most basic amino acid among the following is:
1. Alanine
2. Arginine
3. Histidine
4. Lysine

Correct answer: 2. Arginine

Explanation: Acidic Amino Acid

Aspartic Acid (Aspartate)
Glutamic Acid (Glutamate)

Basic Amino Acid

Arginine (Most Basic Amino acid)
Lysine